Nuclear ophthalmoplegia is due to ?
1. Damage to medial longitudinal fasciculus
2. Damage to temporal lobe
3. Damage to oculomotor nuclei
4. None of the above

Correct answer: 3. Damage to oculomotor nuclei

Explanation: Ans. is 'c' i.e., Damage to oculomotor nuclei Ophthalmoplegia Ophthalmoplegia is paralysis of the eye muscles. Three common types are :- External ophthalmoplegia :- If only extraocular muscles are paralysed. Internal ophthalmoplegia :- If only intrinsic muscles (ciliar muscles and iris) are paralysed. Total ophthalmoplegia :- All extrinsic and intrinsic muscles are affected. Certain other types of ophthalmoplegia are :- Nuclear ophthalmoplegia :- It is paralysis of extraocular muscles due to lesion of the third cranial nerve nuclei. They are more often bilateral. Ophthalmoplegic migraine or Episodic ophthalmoplegia :- It is characterized by recurrent attacks of headaches associated with paralysis of third, fourth and sixth cranial nerves. The incidence of involvement of the third cranial nerve is the most common and it persists for days or weeks after the attack. It is often unilateral and tends to become permanent. Chronic progressive external ophthalmoplegia (CPEO) CPEO is the most common feature of mitochondrial myopathy. It occurs in > 50% cases of all mitochondrial myopathies.Typical presentation is B/L ptosis without diplopia in early adulthood. Ophthalmoplegia is usually symmetrical & slowly progressive so diplopia is not often a complaint because all eye movements are reduced equally. The progressive ophtha lmoplegia is unnoticed till decreased ocular motility limits peripheral vision. Ciliary muscles & iris muscles are often unaffected by CPEO. Other variable symptoms are: Exercise intolerance Hearing loss Ataxia Hypogonadism Cataract Sensory axonal neuropathy Clinical depression Parkinsonism